Most common cause of stridor shortly after birth -
1. Laryngeal papilloma
2. Laryngeal web
3. Laryngomalacia
4. Vocal cord palsy

Correct answer: 3. Laryngomalacia

Explanation: Ans. is 'c' i.e., Laryngomalacia